Apolipoprotein activating L-CAT (LQ) is
1. B - 48
2. A - I
3. A - II
4. B-100

Correct answer: 2. A - I

Explanation: A-1 is the integral apoprotein of HDL.LCAT binds to discoidal HDL activated by A1 converts discoidal HDL to HDL 3Harpers Biochemistry; 30th edition